A 10 year old boy, Pappu, died of acute rheumatic fever. All the following can be expected at autopsy except :
1. Ashoff nodules
2. Rupture of chordae tendinae
3. Mc Callum patch
4. Fibrinous pericarditis

Correct answer: 2. Rupture of chordae tendinae

Explanation: Answer is B (Rupture of Chordae tendinae)